In deep sea divers, decompression illness is mainly due to the following factor:
1. O2 narcosis
2. N2
3. Hypoxia
4. C02 narcosis

Correct answer: 2. N2

Explanation: Decompression sickness (DCS) is caused by the formation of bubbles from dissolved inert gas (usually nitrogen) during or after ascent (decompression) from a compressed gas dive. Breathing at elevated Pamb results in increased uptake of inert gas into blood and then into tissues. Bubbles may form within tissues themselves, where they cause symptoms by mechanical distraction of pain-sensitive or functionally important structures. Ref: Bennett M.H., Mitchell S.J. (2012). Chapter e52. Hyperbaric and Diving Medicine. In D.L. Longo, A.S. Fauci, D.L. Kasper, S.L. Hauser, J.L. Jameson, J. Loscalzo (Eds), Harrison's Principles of Internal Medicine, 18e.